Drawer sign seen in
1. Cruciate ligament injury
2. Scurvy
3. Perthes's disease
4. Hyperparathyroidism

Correct answer: 1. Cruciate ligament injury

Explanation: A i.e. Cruciate ligament injury